A pt. was treated with amitryptiline for depression developed urinary retention, constipation and blurring of vision, most likely cause is :
1. Anticholinergic side effects
2. Expressed symptoms of depression
3. Superadded prostatic enlargement
4. Any of the above

Correct answer: 1. Anticholinergic side effects

Explanation: Ans. is 'a' Anticholinergic side effects Tricyclic Antidepressants have prominent Anticholinergic side effects. Symptoms are -Dry mouthBad TasteBlurred vision (mydriasis)ConstipationUrinary retentionEpigastric distress